Most common site of intracranial hemorrhage in hepertensive hemorrhage is :
1. Basal ganglia
2. Brain.stem
3. Cerebellum
4. Hippocampus

Correct answer: 1. Basal ganglia

Explanation: Basal ganglia The most common sites of hypertensive haemorrhage are: The basal ganglia (putamen, thalamus and adjacent deep white matter) Deep cerebellum Pons